Major portion of glomerular filtrate is absorbed in ?
1. Loop of henle
2. Distal convoluted tubule
3. Collecting duct
4. Proximal segment

Correct answer: 4. Proximal segment

Explanation: D i.e. Proximal segment